The drug most likely to be responsible for acute pancreatitis is :
1. Didanosine
2. Ketoconazole
3. Saquinavir
4. Zidovudine

Correct answer: 1. Didanosine